Severity if mitral stenosis is judged by-
1. Loud S1
2. S2-OS gap
3. S3
4. S4

Correct answer: 2. S2-OS gap